Toxigenicity of tetanus is done on
1. Rabbit
2. Horse
3. Mouse
4. Guinea Pig

Correct answer: 3. Mouse

Explanation: In vivo: In vivo toxigenicity of tetanus is tested in a mouse. A 2-4 day old cooked meat culture is inoculated into the root of the tail of a mouse. A second mouse that has received the tetanus antitoxin an hour earlier serves as the control. Symptoms develop in the test animal in 12-24 hours, beginning with the stiffness in the tail. The animal dies within two days. Reference: Textbook of Microbiology; Anathanarayan and paniker's; 10th edition; Page no: 267